Which of the following drugs binds to albumin ?
1. Penicillin
2. Lidocaine
3. Propranolol
4. Verapamil

Correct answer: 1. Penicillin

Explanation: Acidic drug bind to albumin whereas basic drugs; bind to ∝ acid glycoprotein.
Penicillin is an acidic drug, so it binds to albumin